Figure of eight is seen in:
1. Total Anomalous Pulmonary' Venous Connection (TAPVC)
2. Transposition of great arteries (TGA)
3. TOF
4. Ebstein anomaly

Correct answer: 1. Total Anomalous Pulmonary' Venous Connection (TAPVC)

Explanation: Ans: A (Total (TAPVC)) [Ref .'Radiology review manual by wolfgang Dahnert 5th/603-04; Chapman Radiology 4th/124.142TAPVRTAPVR = admixture lesion because of the combination of cyanosis + increased pulmonaiy vascularity (L-to R and R-to -L shunt)Age : symptomatic in 1st year of lifeTypeSupradiaphragmatic TAPVRH Sub- / Infradiaphragmatic TAPVRMixed Type of TAPVRRadiological featureDisorderCoear en sabot i.e. Boat shaped heardTOFEgg in cup appearanceConstrictive pericarditisEgg on side appearanceD-Transposition of great arteriesEgg shaped heart(D-TGA)Convex Left heart borderL-TGAStraight left upper cardiac borderEbstein AnomalyConcave main pulmonary segment segment & right aortic archPersistent Trunkus arteriosusSnowmann signTotal Anomalous PulmonaryFigure of 8 signVenous Connection (TAPVC)Cottage leaf sign